Two siblings were diagnosed with Osteogenesis imperfecta. But their parents are normal. Mechanism of inheritance is:
1. Anticipation
2. Genomic imprinting
3. Germ line mosaicism
4. New mutation

Correct answer: 3. Germ line mosaicism

Explanation: . Germ line mosaicism